Collagen present in skin is
1. Type I
2. Type II
3. Type IV
4. Type V

Correct answer: 1. Type I

Explanation: Collagen * Collagen is the most abundant protein in the human body, have a triple helical structure * At least 28 distinct types of collagen made up of over 30 distinct polypeptide chains have been identified in human tissues * The main fibril forming collagens in skin and bone and in cartilage, respectively, are types I and II. Ref:- Harper 30/e; pg num:- 628 , Lippincott 7/e; Pg Num:- 44